Entomology of cadaver helps in finding:
1. Time since death
2. Mode of death
3. Manner of death
4. Identify the disease

Correct answer: 1. Time since death

Explanation: Ans. Time since death